Period of onset in tetanus refers to the time between
1. First injury to spasm
2. First symptom to spasm
3. First spasm to death
4. Trismus to laryngeal spasm

Correct answer: 2. First symptom to spasm

Explanation: The interval between first symptom(dysphagia and stiffiness of jaw) to a reflex spasm is called period of onset. If this is less than 48hours,the prognosis is poor and if more than 48hours,prognosis is better. Ref:Manipal manual of surgery,4th edition,pg